Most common cause of esophageal perforation at the site of cricopharynx -
1. Spontoneous
2. Iatrogenic
3. Traumatic
4. None

Correct answer: 2. Iatrogenic

Explanation: Ans. is 'b' i.e., Iatrogenic o Oesophageal perforation is of two types :Iatrogenic (MC)Common site is cervical esophagus Just above the upper sphincter.Spontaneous rupturey As seen in Boerhaaves syndrome (Rupture of esophagus after vomitting).Common in the lower 1/3 of esophagus.